Inverse stretch reflex is mediated via
1. Golgi tendon
2. Muscle spindle
3. Unmyelinated C fibers
4. Dorsal Column

Correct answer: 1. Golgi tendon

Explanation: Ans. A Golgi tendonRef: Ganong 25th ed. pg. 232* Up to a certain point, harder a muscle is stretched the stronger it will contract. However when the tension becomes great enough, contraction ceases and muscle relaxes. This relaxation in response to strong stretch is called inverse stretch reflex.* The receptor for the same is called Golgi tendon organ. It is a net like connection of knobby nerve findings amongst the fascicles of a tendon.* There are 3-25 muscle fibers per Golgi tendon organ.* The fibres from Golgi tendon organ make up Ib group of myelinated rapidly conducting sensory nerve fibers.